A 63-year-old woman with chronic bronchitis presents with shortness of breath. A chest X-ray reveals a 2-cm "coin lesion" in the upper lobe of the left lung. A CT-guided lung biopsy is obtained. Which of the following describes the histologic features of this lesion if the diagnosis is hamartoma?
1. Benign neoplasm of epithelial origin
2. Disorganized normal tissue
3. Ectopic islands of normal tissue
4. Granulation tissue

Correct answer: 2. Disorganized normal tissue

Explanation: Localized, disordered differentiation during embryonic development results in a hamartoma Not strictly neoplasms Contain varying combinations of cartilage, ducts or bronchi, connective tissue, blood vessels, and lymphoid tissue. Ectopic islands of normal tissue (choice C), called choristoma, may also be mistaken for true neoplasms.